The right suprarenal vein drains into the
1. Inferior vena cava
2. Right renal vein
3. Right Gonadal vein
4. Left Renal vein

Correct answer: 1. Inferior vena cava

Explanation: A i.e. Inferior vena cavaLeft testicular, ovarian or suprarenal vein usually drains into left renal veinQ, before entering the IVC OrganVeinDrain intoRt. Suprarenal glandRt. Suprarenal veinIVCQLt. Suprarenal glandLt. Suprarenal veinLeft Renal VeinQSame is true for gonads (testis /ovary) i.e.Lt. Gonad (testis or ovary)Lt. Gonadal (testicular or ovarian) veinLeft renal veinQRt. Gonad (testis or ovary)Rt. Gonadal (testicular or ovarian)veinIVCQ